Most aggressive lung CA:
1. Squamous cell CA
2. Adenocarcinoma
3. Small cell lung CA
4. Large cell CA

Correct answer: 3. Small cell lung CA

Explanation: Ans. (c) Small cell lung CARef: Robbings 9th ed./ 717* Small cell carcinoma is a highly malignant tumor with a strong relationship to cigarette smoking.* Around 1% occurs in nonsmokers.* They are the most aggressive of lung tumors, metastasizing widely and are always fatal.